According to Mahler's theory, the period of childhood is divided into:
1. Normal autistic phase
2. Normal symbiotic phase
3. Separation industrialisation phase
4. All of the above

Correct answer: 4. All of the above

Explanation: According to Mahler's theory, the period of childhood is divided into three stages.

Normal autistic phase (0 - 1 year)
Normal symbiotic phase (4 wks to 4 yrs)
Separation individualization phase (5 to 36 months)